Thickness of lead apron to prevent radiation:
1. 1 mm
2. 3 mm
3. 0.5 mm
4. 7 mm

Correct answer: 3. 0.5 mm

Explanation: Ans. 0.5 mm